Which of the following is the uses of Lasers
1. Oximetry
2. Laser Doppler flowmetry
3. Photoactivated disinfection
4. All of the following

Correct answer: 4. All of the following